The procedure of choice for elective removal of CBD stones for most patients is -
1. Open choledocholithotomy
2. Endoscopic papillotomy
3. Laparoscopic choledocholithotomy
4. Percutaneous choledocholithotomy

Correct answer: 2. Endoscopic papillotomy

Explanation: • ERCP: Diagnostic and therapeutic test of choice for patients with suspected CBD stones
• CBD stones are classified by point of origin
• Found in 6–12% of patients with GB stones
• Retained stones discovered within 2 years of cholecystectomy
• Recurrent stones detected >2 years following cholecystectomy
• ERCP: Diagnostic and therapeutic test of choice for patients with suspected CBD stones.
Treatment
• Treatment options are ERCP, laparoscopic or open CBD Exploration.